Most common hallucination in delirium are ?
1. Auditory
2. Visual
3. Olfactory
4. Tactile

Correct answer: 2. Visual

Explanation: Ans. is 'b' i.e., Visual (Ref: Niraj Ahuja &/e p. 2Q, Essential of clinical psychiatry 4h/e p. 319)Visual hallucinations are most common in delirium.Auditory hallucinations are common in schizophrenia.